Most common ocular lymphoma ?
1. T-cell lymphoma
2. Hodgkin's lymphoma
3. B-cell NHL
4. Pre T-cell lymphoma

Correct answer: 3. B-cell NHL

Explanation: Ans. is 'c' i.e., B-cell NHL